Vitamin K dependent clotting factors are:
1. Factor III & XI
2. Factor IX & X
3. Factor V & VIII
4. Factor XI & XIII

Correct answer: 2. Factor IX & X

Explanation: Vitamin K is the cofactor for g-carboxylation of glutamate residues of the proteins to produce g carboxy glutamate (gla)- Clotting factors contain 4 to 6 g-carboxyglutamate residues Eg- II VII IX X Protein C Protein S Protein Z Osteocalcin Transthyretin (Prealbumin)